Which of the following is not a risk factor for squamous cell carcinoma esophagus?
1. Alcohol
2. Caustic injuries
3. HPV infection
4. Obesity

Correct answer: 4. Obesity

Explanation: Predisposing factors for carcinoma esophagus Squamous cell carcinoma Adenocarcinoma - Alcohol - Smoking -Ingested carcinogens 1. Nitrates, nitrites, nitrosamines 2. Smoked opiates 3. Fungal toxins in pickled vegetables - Mucosal damage: 1. Chronic achalasia 2. Lye (caustic) ingestion 3. Long term ingestion of hot liquids 4. Radiation induced strictures - Plummer-Vinson syndrome - Tylosis palmaris et plantaris. Congenital hyperkeratosis & pitting of palms and soles - Human papilloma virus - Esophageal diverticula - Bulimia - Deficiency: vitamin A, zinc, molybdenum - GERD (leading to Barrett's esophagus) - Obesity - Scleroderma Scleroderma: smooth muscle atrophy in lower 2/3rd of Esophagus - incompetent LES - GERD - stricture - Diet deficient in fruits and vegetables - Diet high in animal protein and cholesterol